True about subendocardial hemorrhages are all, except
1. May be seen after head injury
2. Involves the right ventricular wall
3. Continuous pattern
4. Flame shaped hemorrhages

Correct answer: 2. Involves the right ventricular wall

Explanation: Ans. Involves the right ventricular wall